Which of the following vaccines can be used in pregnancy in normal circumstances?
1. MMR vaccine
2. Varicella vaccine
3. Influenza trivalent vaccine
4. Hepatitis A vaccine

Correct answer: 3. Influenza trivalent vaccine

Explanation: Pregnancy is not a contraindication or precaution for Influenza trivalent vaccine. This vaccine is recommended for women who will be pregnant during influenza season. Influenza live attenuated vaccine is contra indicated. Must Know - Principle: Live-virus vaccines are contraindicated during pregnancy because of the possibility that vaccine virus replication will cause congenital infection or have other adverse effects on the foetus. MMR (measles, mumps and rubella virus vaccine) is contraindicated in pregnancy. It is a live attenuated vaccine. It is also contraindicated in gelatine or neomycin hypersensitivity and known severe immunodeficiency. Varicella vaccine is contraindicated in pregnancy. It is a live attenuated vaccine. It is also contraindicated in gelatine or neomycin hypersensitivity and known severe immunodeficiency. Hepatitis A is not contraindicated, but is has to be use with caution in pregnancy. Ref: Schuchat A., Jackson L.A. (2012). Chapter 122. Immunization Principles and Vaccine Use. In D.L. Longo, A.S. Fauci, D.L. Kasper, S.L. Hauser, J.L. Jameson, J. Loscalzo (Eds), Harrison's Principles of Internal Medicine, 18e.